Which of the following is LEAST useful in treatment of OCD?
1. Clomipramine
2. SSRIs
3. Cognitive behavioral therapy
4. Systematic desensitization

Correct answer: 4. Systematic desensitization

Explanation: SSRIs, Clomipramine and CBT are all first line treatment. Systematic desensitization is least effective of all.